Phantom limb sensations are best described by
1. Weber Fechner law
2. Power law
3. Bell-Magendie law
4. Law of projection

Correct answer: 4. Law of projection

Explanation: Weber Fechner law - "Magnitude of sensation felt is proportionate to the log of the intensity of the stimulus"
Bell Magentic law - In the spinal cord - dorsal roots are sensory and ventral roots are motor 
Law of projection - Describe phantom  limb sensation